Which of the following fungus isn't a mould?
1. Aspergillus fumigatus
2. Rhizopus
3. Cryptococcus neoformans
4. Adsidia

Correct answer: 3. Cryptococcus neoformans

Explanation: Cryptococcus in not a mould A mould or mould is a fungus that grows in the form of multicellular filaments called hyphae. Ref: Baveja 5th ed pg: 564